The presence of anti-saccharomyces cerevisae antibody is a surrogate marker of one of the following:
1. Coeliac disease
2. Crohn's disease
3. Ulcerative colitis
4. Tropical sprue

Correct answer: 2. Crohn's disease

Explanation: Answer is B (Crohn's disease):`Antibodies to the yeast `Saccharolnyces cerevisiae' (ASCA) are found in 60 - 70% of patients with Crohn's disease and 10 - 15% of patients with ulcerative colitis.'-